Which of the following drugs is metabolized by CYP2D6?
1. Propranolol
2. Warfarin
3. Statins
4. Amiodorone

Correct answer: 1. Propranolol

Explanation: CYP 3A4 substrate CYP 2D6 substrate CYP2C19 CYP2C9 Cyclosporine Tacrolimus Statin Cisapride, astemazole, terfenadine (CAT drugs) Amiodorone Navir drugs Beta blockers Antidepressants Antiarrhythmic drugs Codeine Antipsychotics Clopidogrel PPI TCA's Warfarin Phenytoin Sulphonylureas